Which of the following inhalational general anaesthetic can cause laryngospasm:
1. Halothane
2. Nitrous oxide
3. Desflurane
4. Enflurane

Correct answer: 3. Desflurane

Explanation: Desflurane is an irritant if used for induction can cause larygospasm. Desflurane is the most pungent of the volatile agents and may result in a cough, laryngospasm, and bronchospasm and so is not routinely used for induction in children.